Which among the following ions is important in irreversible cell injury?
1. Calcium
2. Sodium
3. Potassium
4. Chloride

Correct answer: 1. Calcium

Explanation: Irreversible cell injury damages the plasma membrane, which then fails to maintain the energy dependent Calcium pumps, allowing theinflux of calciuminto the cell.